Muscular component of dorsal aorta develops from
1. Axial Mesoderm
2. Paraxial Mesoderm
3. Intermediate mesoderm
4. Lateral plate mesoderm

Correct answer: 2. Paraxial Mesoderm

Explanation: Muscular component of dorsal aorta develops from paraxial mesodermRef: Inderbir Singh's Human embryology Tenth edition Pg 257